Which of the following immune hypersensitivity reaction is resonsible for Myasthenia Gravis -
1. Type I Hypersensitivity
2. Type II Hypersensitivity
3. Type III Hypersensitivity
4. Type IV Hypersensitivity

Correct answer: 2. Type II Hypersensitivity

Explanation: *antibody mediated or cytotoxic reaction :type 2 *cytotoxic antibody to tissue component,cellular injury may be brought about by auto antibodies reacting with some components of tissue cells. *in myasthenia gravis, antibodies to acetyl choline receptors of skeletal muscle is formed which blocks the neuromuscular transmission at the motor end plate resulting in muscle weakness.Harshmohan textbook of pathology 7th edition.